The following acts as a muscle spring
1. Titin
2. Alfa actinin
3. Both
4. None

Correct answer: 1. Titin

Explanation: Titin is the muscle spring It is a supportive protein It extends between zline and m line Ref:Guyton and Hall textbook of medical physiology 12th edition,page number: 86,87